Maximum iron is in which nut ?
1. Pista
2. Cashew
3. Peanut
4. Walnut

Correct answer: 1. Pista

Explanation: parks textbook of preventive and social medicine 23rd edition. *among the commonly used nuts ,cashewnut and almonds are good source of iron,but pistachio is the richest containing 14mg of iron per 100g .